Uterus develops from?
1. Paramesonephic ducts
2. Sinovaginal bulbs
3. Metanephric blastema
4. Urogenital folds

Correct answer: 1. Paramesonephic ducts

Explanation: The epithelium of uterus develops from thr fused paramesonephric ducts .the myometrium is derived from srrounding mesoderm .as thicjnessof myometrium increases the unfused horizontal parts of two paramesonephric ducts comes to form fundus of uterus Human embryology Tenth edition Inderbier singh Page 296